Gonococcus does not involve -
1. Epididymis
2. Testis
3. Prostate
4. Anterior urethra

Correct answer: 2. Testis